WHO Ladder is for the rationale titration of
1. Oral analgesia
2. Chemotherapy
3. Radiotherapy
4. Antidepressants

Correct answer: 1. Oral analgesia